Orchidopexy ideal time is:
1. Before the age of 12 month
2. After the age of 24 month
3. At the age of 3 year
4. At 5 year

Correct answer: 1. Before the age of 12 month

Explanation: Ans. (a) Before the age of 12 monthRef: Bailey 26th Edition, Page 1378Orchidopexy is usually performed before the boy reaches 12 months of age.